Which of the following fungi is difficult to isolate on REGULAR SDA media
1. Candida
2. Dermatophytes
3. Cryptococcus
4. Malassezia furfur

Correct answer: 4. Malassezia furfur

Explanation: M. furfur requires fatty acids for growth and does not grow on regular Sabouraud's medium Hence is cultured on the Sabouraud's dextrose agar (SDA) overlayed with a layer of olive oil. On incubation at 37degC, the fungus produces creamy colonies or Fried egg colonies within 5-7 days. Candida, Dermatophytes, Cryptococcus can be isolated easily on SDA.